In thromboasthenia there is a defect in –
1. Platelet aggregation
2. Platelet adhesion
3. Decreased ADP release
4. Desordered platelet secretion

Correct answer: 1. Platelet aggregation

Explanation: Platelet adhesion

Platelet adhesion referes to the binding of platelets to subendothelial matrix.
Platelet membrane glycoprotein Ib-IX is essential for platelet adhesion to subendothelial matrix.


Platelet aggregation

Platelet aggregation referres to adherence of platelets to one another.
Platelet membrane glycoprotein ddb-IIIa helps in aggregation.

Congenital dysfunction of platelet
1. Bernard-soulier syndrome

Defect in platelet adhesion due to inherited deficiency of glycoprotein Ib-IX.

2. Glanzmann's thrombasthenia

Defect in platelet aggregation due to inherited deficiency of glycoprotein Ilb-IIIa.